Pagophagia involves eating
1. Ice
2. Sand
3. Clay
4. Salt

Correct answer: 1. Ice

Explanation: Pica is defined as persistent eating of nonnutritive substances.It is identified only when medical problems such as intestinal obstruation, intestinal infections or poisoning arises (lead). among adults, certain foods of pica, including geophagia (clay) and amylophagia (starch), have been reported in pregnant women. Ref: Synopsis of Psychiatry, 11e, pg 1206